Dalen-Fuch's nodule are seen in:
1. Retinitis pigmentosa
2. High myopia
3. Sympathetic ophthalmitis
4. Hypermetropia

Correct answer: 3. Sympathetic ophthalmitis

Explanation: Ans. C i.e. Sympathetic ophthalmitis